Pregnancy is contraindicated in all of the following EXCEPT:
1. Primary Pulmonary Hypertension
2. Eisenmenger's syndrome
3. Marfan's with aortic root dilation
4. Wolf Parkinson White syndrome

Correct answer: 4. Wolf Parkinson White syndrome

Explanation: Absolute contraindications for pregnancy in patients with heart diseases are: Eisenmenger's syndrome Pulmonary arterial hypertension Severe systemic ventricular dysfunction (NYHA III-IV or LVEF < 30%) Previous peripartum cardiomyopathy Severe AS (Aortic stenosis) Marfan syndrome with aorta dilated > 40 mm or > 4cm